All of the following may be associated with massive proteinuria except -
1. Amyloidsis
2. Renal vein thrombosis
3. Polycystic kidneys
4. All

Correct answer: 3. Polycystic kidneys

Explanation: Ans. is 'c' i.e., Polycystic kidneys